The aortic component of the second heart sound is best heard at what location?
1. Infraclavicular region
2. Ludwig's angle to the right
3. Apex
4. 2nd intercostal space to the left

Correct answer: 2. Ludwig's angle to the right

Explanation: Aortic area lies in the right second intercostal space near to sternum (Ludwig's angle)Ref: Medical Physiology Indu Khurana 2015 edition page No:212